Body temperature regulation centre is located at-
1. Pituitary
2. Thalamus
3. Hypothalamus
4. Basal gonglia

Correct answer: 3. Hypothalamus

Explanation: Ans. is 'c' i.e., Hypothalamuso The temperature of the body is determined by a 'thermostat' located in the hypothalamus,o The set point of the hypothalamic thermostat is 37degC but it can be reset.o When the body temperature rise above or falls below the set point, the thremostat activates the approprite effector mechanisms (heat loss or heat gain) for restoration of the body temperature,o Since the rate of loss of heat depends on the difference between an object and its surrounding, heat loss depends on environmental temperature.o However, it should be kept in mind that though the energy transfer from skin to environment or environment to skindepends on environmental temperature, cutaneous thermoreceptors respond to temperature of the skin, not to the temperature of the environment.o Thermoregulatory center is located in preoptic area of hypothalamus. Anterior hypothalamus respond to heat and posterior hypothalamus respond to cold (shivering center).